The normal axial length of the eye -
1. 18mm
2. 20 mm
3. 28 mm
4. 24mm

Correct answer: 4. 24mm

Explanation: The length of the eyeball is approximately 24 mm, So the distances from the cornea / crystalline lens to the retina and the focal length of optical rays focused by the camera/crystalline lens propagating in the vitreous humor and imaging on the retina, are also about 24 mm